Not true about cefepime is :
1. 4th  generation cephalosporin
2. Useful in hospital acquired infection
3. Inhibits transpeptidase
4. Given twice daily orally

Correct answer: 4. Given twice daily orally